MEN I syndrome is associated with all of the following, Except
1. Pancreatic Tumors
2. Parathyroid Tumors
3. Pituitary Adenoma
4. Medullary Carcinoma Thyroid

Correct answer: 4. Medullary Carcinoma Thyroid

Explanation: Answer is D (Medullary Carcinoma Thyroid) Medullary Carcinoma Thyroid is a feature of MEN II syndrome. These tumors are not seen in MEN I syndrome. Parathyroid Tumors, Pancreatic islet cell tumors and Pituitary Tumors are typical of MEN I Syndrome.